All of the following are feature of Turner syndrome EXCEPT
1. Normal I.Q.
2. Infertility
3. Coarctation of aorta
4. Tall stature

Correct answer: 4. Tall stature

Explanation: (D) Tall stature # Turner's syndrome has also been called ovarian dysgenesis.> It consists of 45X0 karyotype and short stature, short webbed neck, cubitus valgus, exagarated epicanthic folds, coarctation of aorta, Madelung deformity and streak ovaries.# Turners syndrome> Clinical features Short stature Low posterior hair line Webbed neck Broad chest, widely placed nipples Coarctation of aorta Cubitus valgus Streaked ovaries, infertility, amenorrhea Pigmented nevi Peripheral lymphedema at birth> Incidence-1 in 3000 female births> Karyotypes Classic 45X0 Defective second x chromosome 45X0/46 XX mosaicism